What is diagnosis of fresh myocardial infarction in ECG-
1. QT interval prolongation
2. P mitrale
3. ST segment elevation
4. ST segment depression

Correct answer: 3. ST segment elevation

Explanation: Ref: R. Alagappan Manual for Medicine 4th Edition pg no:184 ECG * May be normal initially and hence serial ECGs must be taken. * ST elevation and T-wave inversion with pathological Q-waves are typically seen in leads adjacent to the infarcted segment of myocardium. * Reciprocal ST depression or T-wave inversion in opposite leads. * A non-Q-wave infarct may occur and has a high risk of mortality (as they are prone to develop dangerous arrhythmias and recurrent angina).